What structure contributes to the knee joint?
1. lateral malleolus of the fibula
2. tibial tuberosity
3. medial condyle of the tibia
4. lateral epicondyle of the femur

Correct answer: 3. medial condyle of the tibia

Explanation: The upper surface of the right tibia. (Anterior is at the top.) The medial condyle is the medial portion of the upper extremity of the tibia. It is the site of insertion for the Semimembranosus muscle.